Mr. Ramesh a business man has taken multiple bank loans from a nationalized bank and unable to make payments. He has been brought for psychiatric evaluation as recently he has been denying any memory of taking loans from the bank. Interestingly, all other memory functioning is pretty intact. This is suggestive of:
1. Dissociative amnesia
2. Dissociative fugue
3. Dissociative identity disorder
4. Dissociative autonomic dysfunction

Correct answer: 1. Dissociative amnesia

Explanation: Dissociative Amnesia: Commonest clinical type of dissociative disorder. Occurs mostly in adolescent and young adults. Severe psychological trauma, the patient temporarily and unconsciously shuts down the memory of the traumatic event Circumscribed loss of traumatic memory is seen in these individuals The other memories are intact and this cannot be explained by normal forgetting Treatment: Supportive psychotherapy Identify trauma related cognitive distortions and help the individual cope with adaptive behaviours Drug assisted interview could be beneficial to elicit information- abreaction